DOC for dermatitis herpetiformis is:
1. Steroids
2. Dapsone
3. PUVA
4. Antihistaminic

Correct answer: 2. Dapsone

Explanation: B i.e. Dapsone